Incubation period of gas gangrene is
1. 1-3 days
2. 4-6 days
3. 7-10 days
4. 10-15 days

Correct answer: 1. 1-3 days

Explanation: The incubation period of gas gangrene may be as short as seven hours or as long as six weeks after the wound was created, the average being 10-48 hrs with C.perfringens. Clostridium septicum: 2-3 days Clostridium novyi: 5-6 days Reference: Textbook of Microbiology; Anathanarayan and paniker's; 10th edition; Page no: 262